Which of the following natural family planning method is most effective?
1. Basal body temperature
2. Cervical mucus method
3. Bilings method
4. Symptothermic method

Correct answer: 4. Symptothermic method

Explanation: Symptothermic method This method combines the temperature, cervical mucus and calendar techniques for identifying the fertile period. If the woman cannot clearly interpret one sign, she can "double check" her interpretation with another. Therefore, this method is more effective than the "Billings method or cervical mucus method "